A veterinary doctor had pyrexia of unknown origin. His blood culture in special laboratory media was positive for gram-negative short bacilli which was oxidase positive. Which one of the following is the likely organism grown in culture ?
1. Pasteurella spp
2. Francisella spp
3. Bartonella spp
4. Brucella spp

Correct answer: 4. Brucella spp

Explanation: Points in favor of Brucellosis:

Veterinary doctor: Occupational exposure to infected animals
Organism could grow only in special laboratory media
Oxidase positive Gram-negative short bacilli
Brucellosis is one of the common cause of PUO